What is common in both acute and chronic pancreatitis?
1. Pseudocyst
2. Abscess formation
3. DIC
4. Pancreatic head mass

Correct answer: 1. Pseudocyst

Explanation: Pseudo cyst typically arise following an attack of acute pancreatitis ,but can develop in chronic pancreatitis or after pancreatic trauma Bailey & Love ,26th,1133.